Feeding centre is located in:
1. Lateral hypothalamu
2. Ventro medial nucleus
3. Supraoptic nucleus
4. Frontal lobe

Correct answer: 1. Lateral hypothalamu

Explanation: Lateral hypothalamus